Shortest incubation perion in malaria -
1. P. vivax
2. P. falciparum
3. P. malariae
4. P. ovale

Correct answer: 2. P. falciparum

Explanation: Duration of erythrocytic schizogony 48 hrs- vivax Less than or equal to 48 hrs-falciparum 72 hrs -malariae 48 hrs -ovale (refer pgno:58 baveja 3 rd edition)